A patient has a frequent tendency of migraine attacks. Which of the following drug should be given as prophylaxis?
1. Propranolol
2. Pindolol
3. Ergotamine
4. All of the above

Correct answer: 1. Propranolol

Explanation: Prophylaxis of migraine is required if the attacks are frequent (>2-3 per month). The drugs useful for prophylaxis are: 

Propranolol is the most commonly used drug for prophylaxis of migraine attacks.
Timolol, atenolol, metoprolol and nadolol can also be used but the drugs with ISA (e.g. pindolol) are ineffective.